Malleus is derived from
1. Meckel's cartilage
2. Reinche's cartilage
3. Third pharyngeal arch
4. Second pharyngeal arch

Correct answer: 1. Meckel's cartilage

Explanation: i.e. (Meckel's Cartilage): (316-109 IBS- Embryology 8th)* Malleus and Incus are derived from the dorsal end of the Meckel's cartilage (First arch)*** Stapes is formed from the dorsal end of the cartilage of second pharyngeal archNerves of pharyngeal arches and muscles supplied by themArchNerve of ArchMuscles of ArchCartilage of ArchFirstMandibularMedial and lateral pterygoids, MasseterTemporalis, Mylohyoid,Anterior belly of digastricTensor tympani, Tensor palatiMalleus Incus Sphenomandibular ligamentSecondFacialMuscles of face, Occipito frontalis, Platysma,Stylohyoid, Posterior belly of digastric, Stapedius,\Auricular muscles* Stapes* Styloid process* Stylohyoid ligament* Smaller (lesser) comu of hyoid bone* Superior part of body of hyoid boneThirdGlossopharyngealStylopharyngeus* Greater comu of hyoid bone* Lower part of the body of hyoid boneFourthFifthSuperior laryngealRecurrent laryngealMuscles of larynx and pharynx* The cartilages of the larynx are derived from the fourth and sixth arches with a posible contribution from the fifth arch, but their exact derivation is controversial